Kaposis sarcoma is caused by:
1. HIV
2. HPV
3. HHV8
4. CMV

Correct answer: 3. HHV8

Explanation: HHV8